Methylphenindate is drug of choice for
1. Obsessive compulsive disorder
2. ADHD (attention deficit hypersensitivity disorder)
3. Enuresis
4. Autism

Correct answer: 2. ADHD (attention deficit hypersensitivity disorder)

Explanation: Ans. b (ADHD). (Ref. Pharmacology by KD Tripathi 5th/- 436; Harrison 18th/27, 369)Drugs used for ADHD# Methylphenidate# Amphetamine# PimolineMethylphenidate acts by releasing NA & dopamine in brain. It is preferred because it causes less tachycardia & growth retardation.